Which of the following is not a Ca++ channel blocker ?
1. Enalapril
2. Nifedipine
3. Diltiazem
4. Verapamil

Correct answer: 1. Enalapril